The treatment of choice for squamous cell anal cancer is
1. Abdominoperennial resection
2. Laser fulgaration
3. chemoradiotherapy
4. Platinum-based chemotherapy

Correct answer: 3. chemoradiotherapy

Explanation: Anal cancer # Uncommon tumour, which is usually a squamous cell carcinoma # Treatment is by chemoradiotherapy in the first instance # More prevalent in patients with HIV infection # May affect the anal verge or anal canal # Lymphatic spread is to the inguinal lymph nodes #Associated with HPV # Major ablative surgery is required if the above fails Ref: Bailey & Love's Short Practice of Surgery,E25,Page-1269